Kluver - Bucy Syndrome is associated with lesion in
1. Hippocampus
2. Amygdada
3. Mamillary body
4. Cerebral cortex

Correct answer: 2. Amygdada

Explanation: . *Effects of bilateral ablation of amygdala,when anterior parts of both temporal lobes are destroyed causes behavior changes. Kluver Bucy syndrome is a rare behavioral impairment characterized by inappropriate sexual behaviors and mouthing of objects. Other signs and symptoms, include a diminished ability to visually recognize objects, loss of normal fear and anger responses, memory loss, distractibility, seizures , and dementia Ref Harrison20th edition pg 1134